Purification of water at large scale is done by all except
1. Disinfection of well
2. Rapid sand filter
3. Slow sand filter
4. Storage

Correct answer: 1. Disinfection of well

Explanation: Purification of water on a large scale Storage Filtration by slow sand or biological filters rapid sand or mechanical filters 3. Disinfection Purification of water on a small scale Household purification of water Disinfection of wells (refer pg:771 park 25th edition)